The mesentery of small intestine, along its attachment to the posterior abdominal wall, crosses all of the following structures except:
1. Left gonadal vessels
2. Third part of duodenum.
3. Aorta
4. Right ureter.

Correct answer: 1. Left gonadal vessels

Explanation: A i.e. Left gonadal vesselsRoot of mesentery crosses (successively) te ascending (4th) and inferior horizontal (3rd) parts of duodenum, abdominal aorta, IVC, right ureter, right psoas major and right gonadal (testicular/ovarian) vesselQ. It does not cross left ureter, leftgonadal vessels and superior mesenteric vessels.